Embryonic period is upto:
1. 8 weeks
2. 10 weeks
3. 12 weeks
4. 6 weeks

Correct answer: 1. 8 weeks

Explanation: Embryonic Period Day of fertilization ( 14th day post-ovulation) to 8 weeks* intrauterine life Fetal period 9 weeks to Birth Perinatal Period 28 weeks to 7 days of postnatal life